All of the following statements about thalidomide are true, Except:
1. It has been re introduced for its activity in ENL
2. Developed as antiemetic in pregnancy but withdrawn because of phacomelia
3. Used for new and relapsed cases of Multiple myeloma
4. Most common side effects are diarrhea and euphoria

Correct answer: 4. Most common side effects are diarrhea and euphoria

Explanation: Thalidomide is associated with the development of constipation, rashes and peripheral neuropathy. Ref: Essentials of Medical Pharmacology By KD Tripathi, 5th Edition, Page 782; DeVita, Hellman, and Rosenberg's cancer : Principles And Practice of Oncology By Vincent T DeVita, Theodore S Lawrence, Steven A Rosenberg, Volume 1, Page 493; Reproductive and Developmental Toxicology By Ramesh C Gupta, Page 401